Antisocial personality is seen with :
1. Drug abuse
2. Paranoid schizophrenia
3. OCN
4. None

Correct answer: 1. Drug abuse

Explanation: A i.e. Drug abuse